Larval form of Taenia solium is seen in:
1. Pig
2. Cattle
3. Dog
4. Cat

Correct answer: 1. Pig

Explanation: Cysticercus cellulosae is the larval form of Taenia solium. It is found in the tissues of the intermediate host, pig. However, it can also be found in human tissues in cysticercosis. Cysticercosis is usually acquired by eating food or drinking water contaminated by tapeworm eggs from humanfeces or by autoinfection.